A pt. being investigated for anemia has a dry marrow tap ; peripheral smear reveals tear drop cells, likely diagnosis is :
1. Leukemia
2. Lymphoma
3. Myelofibrosis
4. Polycythemia rubra vera

Correct answer: 3. Myelofibrosis